Life threatening complications of diabetes mellitus are all except:
1. Malignant otitis externa
2. Rhinocerebral mucormycosis
3. Emphesematous pyelonephritis
4. Emphysematous appendicitis

Correct answer: 4. Emphysematous appendicitis

Explanation: Answer is D (Emphysematous Appendicitis): Emphysematous Appendicitis has not been listed as a fatal complication of diabetes mellitus. Malignant Otitis Externa is a potential life threatening complication of Diabetes 'Invasive otitis externa, also known as malignant otitis externa or necrotizing otitis externa is an aggressive and life threatening disease that occurs predominantly in elderly diabetics and other immunocompromised patients' Rhinocereberal Mucormycosis is a potential life threatening complication of Diabetes 'Rhinocerebral mucormycosis is an invasive life threatening fungal infection that usually develops in diabetic patients and immunocompromised patients' - Harrison 16th/186 Emphysematous Pyelonephritis is a potential life threatening complication of Diabetes Emphysematous pyelonephritis is usually characterized by rapidly progressive clinical course, with accumulation of fermentative gases in the kidney and perinephritic tissues. This condition almost always occurs in diabetic patients and surgical resection of the involved tissue and antimicrobial therapy is usually needed to prevent a fatal outcome-Harrison 16th/1720